Opsonins are
1. C3a
2. IgM
3. Carbohydrates binding protein
4. Selectins

Correct answer: 3. Carbohydrates binding protein

Explanation: ref Robbins 8/e p51-53 ;7/e p59,9/e p78